Over-trituration of silver alloy and mercury:
1. Reduces contraction
2. Increases the strength of lathe-cut alloy but reduces the strength of spherical alloy amalgam
3. Decreases creep
4. Gives al dull and crumbly amalgam

Correct answer: 2. Increases the strength of lathe-cut alloy but reduces the strength of spherical alloy amalgam